Flexion of metacarpophalangeal joint and extension of interphalangeal joints is major action of
1. Palmar interossei
2. Dorsal interossei
3. Lumbricals
4. FDS

Correct answer: 3. Lumbricals

Explanation: It is the action of lumbricals.The dorsal interossei abduct the fingers. the palmar interossei adduct the fingers.The FDS flexes middle phalanx at PIP joints. ref :textbook of anatomy upper limb and thorax ,vishram singh ,2nd edition ,page no.144